Half life of IV oxytocin is -
1. 3 minutes
2. 30 minutes
3. 3 hours
4. 45-60 minutes

Correct answer: 1. 3 minutes

Explanation: Ans. is 'a' i.e., 3 minutes * The half-life of intravenously infused oxytocin is approximately 3 minutes.